A lesion of the optic radiation involving the Meyer's loop causes -
1. Homonymus hemianiopia
2. Superior quadrantanopia
3. Inferior quadrantanopia
4. Central scotoma.

Correct answer: 2. Superior quadrantanopia

Explanation: Meyer's loops are the inferior most fibres of optic radiation. Damage to inferior fibres cause superior quadrantanopia.